In primary idiopatic polymyositis the following groups of muscles is almost never affected -
1. Proximal limb girdle muscles
2. Pharyngeal muscles
3. Extensor neck muscles
4. Ocular

Correct answer: 4. Ocular